Following is a type of physical urticaria –
1. Dermographism
2. Urticaria pigmenthosa
3. Urticaria vasculitis
4. Auto-immune urticaria

Correct answer: 1. Dermographism